Infection with this organism during pregnancy can cause congenital hydrocephalus.For the above patient, select the most likely infecting organism.
1. toxoplasmosis
2. tetanus
3. syphilis
4. Streptococcus

Correct answer: 1. toxoplasmosis

Explanation: Congenital toxoplasmosis is initiated in utero usually as a complication of a primary infection. Infants may be asymptomatic at birth but later can present with a multitude of signs and symptoms, including chorioretinitis, strabismus, epilepsy, and psychomotor retardation. The presence of hydrocephalus is a bad prognostic sign.